Most common cause of esophageal perforation near cricopharynx:
1. Iatrogenic
2. Trauma
3. Spontaneous
4. Tumor

Correct answer: 1. Iatrogenic

Explanation: Ans. (a) IatrogenicRef Bailey and Love 26th Edition, Page 993* Most common site of perforation of esophagus -- Cervical esophagus* Most common cause is Iatrogenic